Grafting done between genetically different individuals of same species is -
1. Autograft
2. Allograft
3. Isograft,
4. Xenograft

Correct answer: 2. Allograft

Explanation: Ans. is' b' i.e., Allograft o Based on the donor, the graft may be >Autograft (autogenic graft) : Graft from self.Isograft (syngraft) : Graft from a genetically identical person, e.g. identical twin.Allograft (homograft or allogenic graft) : Graft from a genetically unrelated member of same species.Xenograft (heterograft) : Graft from different species.y Orthoptic grafty Het era topic graft- Graft appl ted in anatomically normal site eg. skin graft.- Graft applied in anatomically abnormal site.o After organ transplantation (graft), two types of reaction can occurHost versus graft reaction: It refers to the reaction of the host to grafted (transplanted) organ, i.e. graft rejection.Graft versus host (GVH) reaction: It refers to the immune response of graft against the antigens of the host, e.g. Runt disease in animals.